General Adaptation Syndrome {GAS} is seen in
1. Panic Attacks
2. Depression
3. Anxiety
4. Stressful Situations

Correct answer: 4. Stressful Situations

Explanation: Hans Selye developed a model of stress that he called as General Adoptation Syndrome (GAS). It consisted of three phases- 1. Alarm reaction, 2. Stage of resistance, 3. Stage of exhaustion. Ref: Synopsis of Psychiatry, 11e, pg 477